Frey's syndrome occurs due to damage to which nerve during Parotid gland surgery?
1. Trigeminal nerve
2. Lesser petrosal nerve
3. Vidian nerve
4. Auriculotemporal nerve

Correct answer: 4. Auriculotemporal nerve

Explanation: Ans. is 'd ' i.e., Auriculotemporal nerve Frey's syndromeo Frey's syndrome often results as a side effect of surgeries of or near the parotid gland or due to injury to the auriculotemporal nerve, which passes through the parotid gland in the early part of its course. The Auriculotemporal branch of the Trigeminal nerve carries parasympathetic fibers to the sweat glands of the scalp and the parotid salivary gland. As a result of severance and inappropriate regeneration, the parasympathetic nerve fibers may switch course, resulting in "gustatory Sweating" or sweating in the anticipation of eating, instead of the normal salivatory response